In triage of School bus accident of children which one will you attend first and give priority?
1. Airway obstruction child
2. Boy who has Shock
3. Flail chest child
4. Severe Head injury

Correct answer: 1. Airway obstruction child

Explanation: Ans. (a) Airway obstruction(Ref Page 413/ Sabiston 20th edition, Surgery Sixer 2nd Edition Page 106)This initial assessment, also termed the primary survey, follows the mnemonic ABCDE * Airway and cervical spine protection* Breathing* Circulation* Disability or neurologic condition* Exposure and environmental control